Regarding occurrence of sympathetic ophthalmitis, all of the following are true except:
1. It almost always follows a perforating wound
2. Wounds in the ciliary region are more prone to
3. More common in adults than in children
4. Less common when actual suppuration develops in the injured eye

Correct answer: 3. More common in adults than in children

Explanation: Ans. More common in adults than in children